What is the suggested level of noise that people can tolerate without damage to their hearing?
1. 60 dB
2. 85 dB
3. 110 dB
4. 120 dB

Correct answer: 2. 85 dB

Explanation: Daily maximum tolerable sound level to human ear : 85-90 dB. Human ear is sensitive to sound frequency: 20-20,000 Hz. Auditory fatigue appears in: 90 dB. Sound level above which tympanic membrane rupture: 150 - 160 dB. Permanent hearing loss : >100 dB. Hospital ward, permissible level of sound : 22-35 dB. Normal conversation: 60-70 dB.